The cycle of malaria parasite is in sequence of - 1) Exoerythrocytic stage 2) Gametocytic stage 3) Erythrocytic stage 4) Sporogony
1. 1, 2, 3, 4
2. 1, 3, 2, 4
3. 1, 4, 2, 3
4. 1, 4, 3, 2

Correct answer: 2. 1, 3, 2, 4